A 10-year-old boy with a 2-week history of an upper respiratory infection was admitted to the hospital with malaise, fever, joint swelling, and diffuse rash. The patient is treated and discharged. However, the patient suffers from recurrent pharyngitis and, a few years later, develops a heart murmur. This patient's heart murmur is most likely caused by exposure to which of the following pathogens?
1. Beta-hemolytic streptococcus
2. Candida albicans
3. Epstein-Barr virus
4. Staphylococcus aureus

Correct answer: 1. Beta-hemolytic streptococcus

Explanation: Rheumatic fever develops after antibodies to surface antigens of group A (beta-hemolytic) streptococci cross react with similar antigens found in the heart, joints, and connective tissue of the skin. Cardiac lesions caused by acute rheumatic fever include endocarditis, myocarditis, and pericarditis, or all three combined. Chronic rheumatic endocarditis causes fibrous scarring and deformity of cardiac valves, leading to heart murmurs and functional defects. None of the other pathogens cause rheumatic heart disease.Diagnosis: Rheumatic heart disease